True about Imipramine is:
1. Antiepileptic
2. Antidepressant
3. Anxiolytic
4. Antipsychotic

Correct answer: 2. Antidepressant

Explanation: Ans. B: Antidepressant Imipramine is a tricyclic antidepressant with general pharmacological properties similar to amitriptyline and doxepin. It possesses anticholinergic properties which are responsible for certain of its side effects. The most prominent action of TCA's is their ability to inhibit norepinephrine transporter and serotonin transporter located at neural/platelet membrane at low and therapeutically attained concentrations.